Kwashiorkor is characterised by all except-
1. Dermatitis
2. Edema
3. Flag sign
4. Alertness

Correct answer: 4. Alertness

Explanation: Ans. is 'd' i.e., Alertness o There is lethargy and listlessness (not alertness).